A 3-yr-old child living in area with 0.8 ppm F in water should be given F tablets daily:
1. 0.25 mg
2. 1 mg
3. 0.5 mg
4. 0.00 mg

Correct answer: 4. 0.00 mg